Which of the following is true about empty sella syndrome
1. Incidental finding
2. Visual defects
3. Anosmia
4. Hypogonadism

Correct answer: 1. Incidental finding

Explanation: It is incidental finding in asymptomatic patients in MRI.